Which of the following drug is a SERM useful for treatment of osteoporosis?
1. Raloxifene
2. Bisphosphonate
3. Strontium
4. Estradiol

Correct answer: 1. Raloxifene

Explanation: Ans. (A) Raloxifene(Ref: Katzung, 11/e p759; Goodman and Gilman, 11/e p1557; KDT 8/e p339)Raloxifene is a selective estrogen receptor modulator with estrogen agonistic action on bone and antagonistic action on breast and endometrium. It is therefore the preferred drug for the treatment and prevention of post-menopausal osteoporosis. Major adverse effect of this agent is increased risk of thromboembolism.